Odland bodies are seen in which layer of epidermis?
1. Basal cell layer
2. Stratum corneum
3. Prickle cell layer
4. Stratum granulosum

Correct answer: 4. Stratum granulosum

Explanation: Odland bodies are present is: Skin: Stratum granulosum > upper part of stratum spinosum. Lungs: Type-II alveolar cells in lungs Odland bodies also are known as lamellar bodies - play important roles in barrier function and intercellular cohesionwithin the stratum corneum. Consist of Ceramide, Fatty acids, cholesterol, etc. Stratum granulosum also contain prefillagrin(keratohyaline) Stratum lucidium has retractile granules of eleidin